A short stature child's growth variation is normal but bone development is not according to chronological age. What is your diagnosis?
1. Genetic short stature
2. Dwarfism
3. Constitutional delay
4. Growth hormone deficiency

Correct answer: 3. Constitutional delay

Explanation: Ans. C. Constitutional delayShort stature children with normal growth variation include genetic (familial) short stature and constitutional delay. In genetic short stature bone development matches with the chronological age but not in constitutional delay in which bone development lags behind.